Derivative of ventral mesogastrium -
1. Greateromentum
2. Lesseromentum
3. Gastrosplenic ligament
4. Linorenal ligament

Correct answer: 2. Lesseromentum

Explanation: Ans. is 'b' i.e., Lesser omentum Mesentery | | |ForegutMidgut & Hindgut||||||Dorsal mesentery (no ventral mesentery)Ventral me sen try (mesogastrium)Dorsal mesentery (mesogastrium)o Mesentery of jejunum and ileumo Transverse mesocolono Sigmoid mesocolon|||||||Ventral partDorsal partCaudal partCranial partCranial most parto Falciform ligamento Right triangular ligamento Left triangular ligamento Superior layer of coronary ligamento Inferior layer of coronary ligamento Lesser omentumo Greater omentum1. Ventral parto Gastrosplenic ligament2. Dorsal parto Linorenal ligamento Gastrophrenic ligament